Drug of choice for sore throat caused by Group A beta hemolytic streptococcus is :
1. Erythromycin
2. Penicillin
3. Ceftriaxone
4. Sulfonamides

Correct answer: 2. Penicillin